Condition in which lid is adhered to conjunctiva is-
1. Ankyleblepharon
2. Symblepharon
3. Trichiasis
4. Madarosis

Correct answer: 2. Symblepharon

Explanation: Ans. is 'b' i.e., Symblepharon * A symblepharon is a partial or complete adhesion of the palpebral conjunctiva of the eyelid to the bulbar conjunctiva of the eyeball. It results either from disease (conjunctival sequelae of trachoma) or trauma.